In corpus Luteum haematoma the blood is found in :
1. Theca interne layer
2. Granulosa Lutein Layer
3. Cavity of the corpus iuteum
4. All of the above

Correct answer: 3. Cavity of the corpus iuteum

Explanation: Cavity of the corpus iuteum